Not a feature of acute arterial occlusion:-
1. Cyanosis
2. Pallor
3. Paralysis
4. Paraesthesia

Correct answer: 1. Cyanosis

Explanation: Cyanosis is not a feature of acute arterial occlusion . Features of Arterial Occlusion are characterised by 5 P's; Pain Pallor Pulselessness Paralysis Paraesthesia Some add 6th P-Poikilothermia .